Most effective bactericidal system within phagocytes is:
1. Lysozyme mediated
2. Lactoferrin mediated
3. Reactive oxygen metabolite mediated
4. Cationic basic protein mediated

Correct answer: 3. Reactive oxygen metabolite mediated

Explanation: The bactericidal action of phagocytes is based on NADPH oxidase induced respiratory burst producing superoxide. Ref: Cherie H. Dunphy, (2010), Chapter 38, "White Blood Cell and Immunodeficiency Disorders", In the book, "Molecular Pathology of Hematolymphoid Diseases", New york, Page 505